Melatonin is secreted by:
1. Mammillary body
2. Pineal gland
3. Posterior pituitary
4. Hypothalamus

Correct answer: 2. Pineal gland

Explanation: Ans: B (Pineal gland) Ref: Pal GK, Pineal gland. In: Textbook of Medical Physiology, 2nd ed, Ahuja Publishing House, 2011: 51: 418-19Explanation:Pineal Gland SecretesMelatoninArginine vasotocinArginine vasopressinOxytocinProopiomelanocortinSynthesis of MelatoninTryptophan5 Hydroxy tryptophanSerotonin (5 Hydroxy Tryptamine)N-Acetyl serotonin (N-Acetyl % Hydroxy tryptamine)Melatonin (N-Acetyl 5 Methoxytryptamine)FunctionsDiurnal change in melatonin coordinates endocrinal responses of the bodyInhibits gonadal functionsInfluences meianophores and skin color in lower animals.MechanismML1A, 1B receptors - By increasing cAMPML2 receptor - By increasing IP3, DAG